Which of the following responses is found in atopic individuals -
1. IgM production
2. IgE production
3. IgA production
4. Hypogammaglobulinemia

Correct answer: 2. IgE production

Explanation: Atopy is typed I hypersensitivity reaction. Type I hypersensitivity reaction is IgE dependent. Cytotoxic IgE antibodies are fixed on the surface of tissue cells ( mast cells and basophils) in sesensitizedndividuals. The antigen combines with the cell fixed antibody, leading to release of a phapharmacologicallytive substance that proproducese clinical reaction. Reference : Anathanarayan & paniker's 9th edition, pg: 162